Keloid scar is made up of -
1. Dense collagen
2. Loose fibrous tissue
3. Granulamatous tissue
4. Loose areolar tissue

Correct answer: 1. Dense collagen